Most common site of lentigo maligna subtype of malignant melanoma is ?
1. Palms & soles
2. Trunk
3. Face
4. Buttocks

Correct answer: 3. Face

Explanation: Most common site of lentigo maligna subtype of malignant melanoma is face- Hutchinson's melanotic freckle. It is more common in elderly women. It ia slow growing, variegated, brown macule/ lentigo; also seen in neck and hands. Reference : page 295-96 SRB's manual of surgery 5th edition